Lactate dehydrogenase is:
1. Isoenzyme
2. Coenzyme
3. Antienzyme
4. Zymogen

Correct answer: 1. Isoenzyme

Explanation: Ans. A. IsoenzymeIsoenzymes catalyse the same reaction but differ in physical and structural properties. Lactate dehydrogenase, creatine phosphokinase, alkaline phosphatase and alcohol dehydrogenase are examples of isoenzymes.